Eale's disease
1. Recurrent anterior uveitis
2. Recurrent vitreous haemorrhage
3. Recurrent macular haemorrhage
4. Recurrent subconjuctival haemorrhage

Correct answer: 2. Recurrent vitreous haemorrhage

Explanation: It is an idiopathic inflammation of the peripheral retinal veins, characterised by recurrent vitreous hemorrhage. Etiology not exactly known, but consider to be a hypersensitivity reaction to tubercular protiens. Bilateral disease, typically affecting young adult males. Ref : khurana 6 th edition , page no. 265 Eales disease (ED) is an idiopathic, inflammatory retinal venous occlusive disease characterized by 3 stages: vasculitis, occlusion and retinal neovascularization, leading to recurrent vitreous hemorrhages and vision loss. Ref AK khurana 6/e p240